Kaposi's sarcoma is caused by-
1. HHV-5
2. HHHV -5
3. HHV-7
4. HHV-8

Correct answer: 4. HHV-8